Proved association of Celiac disease is with
1. Scleroderma
2. Pemphigus
3. Pomphoid
4. Dermatitis herpetiformis

Correct answer: 4. Dermatitis herpetiformis

Explanation: Celiac disease is associated with dermatitis herpetiformis(DH), but this association has not been explained.Patients with DH have characteristic papulovesicular lesions that respond to dapsone. Almost all patients with DH have histologic changes in the small intestine consistent with celiac disease, although usually much milder and less diffuse in distribution. Celiac disease is also associated with diabetes mellitus type 1, IgA deficiency, Down syndrome, and Turner's syndrome.Ref: Harrison; 19th edition; Page no: 1942